Ketone bodies are synthesised in:
1. Muscle
2. Liver
3. Kidney
4. Brain

Correct answer: 2. Liver

Explanation: Ketone bodies are two molecules, acetoacetate and hydroxybutyrate.The term "ketone body" is historical: only acetoacetate is an actual ketone.Ketone bodies are synthesized in the liver from acetyl-CoA.